Time between infection and maximum infectivity is known as?
1. Incubation period
2. Serial interval
3. Generation time
4. Communicable period

Correct answer: 3. Generation time

Explanation: the interval of time between receipt of infection by a host and maximal infectivity of that host is defined as GENERATION TIME.generally it roughly equals incubation period,but not same.generation time refers to transmission of infection whether clinical orsubclinical.ref :park's textbook of preventive and social medicine,22 nd edition,pg no 96.